In syncope, which of the following is not seen:
1. Cold extremities
2. Vomiting
3. Pupil constriction
4. Faint

Correct answer: 3. Pupil constriction